Which of the following is used as a reference protein for assessing protein quality?
1. Fish
2. Egg
3. Pulses
4. Chicken

Correct answer: 2. Egg

Explanation: Quality of protein is assessed with relation to egg as reference protein. Ref: Park 21st edition, page 586.